In Peutz-Jegher's syndrome, polyp seen is:
1. Jejunal hamartoma
2. Colonic
3. Duodenum
4. Rectal

Correct answer: 1. Jejunal hamartoma

Explanation: Ans: a (Jejunal hamartoma) Ref: Bailey, 24th ed,p. 785Peutz-Jegher's syndrome is a rare autosomal dominant syndrome characterized by multiple hamartomatous polyps scattered through out the entire gastrointestinal tract and melanotic mucosal and cutaneous pigmentation around the lips, oral mucosa, face, genitalia, the palmar surfaces of the hands, (chromosome 19)PolypsTerm 'polyp' is a clinical description of elevated tumour.Non - NeoplasticPolypsLocationHistological typesRisk of malignancyAssociated lesionsHyperplasticColonHyperplastic colonic epithelial cells.Rare JuvenileLarge and small intestine and stomach.HamartomasRare Peutz - Jeghers syndromeJejunum(mainly) rest of intestine.HamartomasRarePigmentation in mouth.Tumours of the ovary, breast, endometrium, and pancreasNeoplastic polypsPolypsLocationHistological typesRisk of malignancyAssociated lesionsTubular adenomatous polypLarge and small intestine, stomach.AdenomaAbout 1-3% Villous adenomaLarge intestineAdenomaAbout 40% Familial polyposis coliLarge intestineAdenoma (more than 100)100%- Bone and soft tissue lesions.- Ampullary cancers- congenital hypertrophy of retinal pigment epithelium.Turcot's syndromeLarge intestineAdenoma100%Brain tumors